All of the following drugs are used for managing Status Epilepticus except :-
1. Phenytoin
2. Diazepam
3. Thiopentone sodium
4. Carbamazepine

Correct answer: 4. Carbamazepine

Explanation: K.D Tripathy essentials of medical pharmacology 7th edition . *Drugs used for status epilepticus are lorazepam4mg i.v inj. at 2mg/min, Diazepam10mg i.v.inj.at 2mg/min, Fos phenytoin 100-150mg /min i.v infusion , Phenobarbitone sod.50-100mg i.v infusion *In refractory cases treat with i.v.thiopentone/propofol/midazolam. Ref Harrison20th edition pg 2378